A 9 year old boy with elevation in both PT and A PTT. What is the diagnosis?
1. Defect in extrinsic pathway
2. Defect in intrinsic pathway
3. Platelet function defect
4. Defect in common pathway

Correct answer: 4. Defect in common pathway

Explanation: Ans. is 'd' i.e., Defect in common pathway Defective coagulation pathway PT AM Extrinsic Increased Normal Intrinsic Normal Increased Common Increased Increased